Bruxism is:
1. Walking during sleep
2. Nocturnal enuresis
3. Grinding of teeth during sleep
4. Sleep apnea

Correct answer: 3. Grinding of teeth during sleep

Explanation: Ans. Grinding of teeth during sleep